Best anesthesia for low forceps delivery ?
1. General anesthesia
2. Epidural block
3. Saddle block
4. Caudal block

Correct answer: 3. Saddle block

Explanation: Ans. is'c'i.e., Saddle block(Ref: Chestnut's Obstetric Anesthesia p. 480)'A saddle block performed with the patient in sitting position with hyperbaric local anesthetic solution provides excellent anesthesia for outlet/Iow forceps delivery."